Which of the following is a leukotriene antagonist?
1. Montelukast
2. Zileuton
3. Omahzumab
4. Nedocromil

Correct answer: 1. Montelukast

Explanation: Out of all the given options, Montelukast is a leukotriene antagonist. Ref: K D Tripathi Textbook of Pharmacology, 5th Edition, Page 205; Modern Pharmacology With Clinical Applications By Charles R. Craig, Robert E. Stitzel, Pages 465-67